In Tweed's analysis, if FMA is 35 degrees, what will be FMIA?
1. 65°
2. 63°
3. 60°
4. 68°

Correct answer: 1. 65°

Explanation: FMA and its relationship with IMPA:
Tweed observed that patients whose FMA was more than 30 degrees demonstrate nature’s way of compensating for inclination of the mandibular incisors to the mandibular plane. The IMPA was found to be as little as 77 degrees and the FMIA to be around 65 degrees. The occlusal plane converges towards the mandibular plane as a result of the excessive height of the mandibular incisors compared with molar height.
Ref: Orthodontics: Diagnosis and Management of Malocclusion and Dentofacial Deformities, 3e, Om P. Kharbanda pdf no 1001